All of the following statements about amlodipine are true except:
1. It acts by conversion to an active metabolite in the liver
2. It has a very large volume of distribution
3. It undergoes very little first pass metabolism and possesses high and consistent oral bioavailability
4. It has a very long elimination half life

Correct answer: 1. It acts by conversion to an active metabolite in the liver

Explanation: (Ref: KDT 6/e p531) Amlodipine is the longest acting DHP. It undergoes little first pass metabolism and is distributed widely. metabolites of amlodipine are inactive.